Barium swallow is used for -
1. Colon
2. Esophagus
3. Duodenum
4. Jejunum

Correct answer: 2. Esophagus

Explanation: Barium swallow is the contrast study from oral cavity upto the fundus of stomach. Indications : Dysphagia and obstruction Motility disorders of esophagus. Assessment of site of esophageal perforation Zenker's diverticulum and cricoid webs. Contraindications : Tracheo esophageal fistula Esophageal perforation